Which of the following is a bronchodilator ?
1. Corticosteroids
2. Salmeterol
3. Ketotifen
4. Sodium cromoglycate

Correct answer: 2. Salmeterol